Butterfly rash is associated with:
1. DLE
2. SLE
3. Rheumatoid arthritis
4. Reiter's syndrome

Correct answer: 2. SLE

Explanation: Ans. B: SLECutaneous LE may be part of an uncommon disease called systemic lupus erythematosus (SLE). Only a few people with cutaneous LE also have SLE.The most common presentation is with a malar eruption or 'butterfly rash' (red patches across the cheeks).Other skin changes in SLE are photosensitivity (a rash on all sun exposed skin), mouth ulcers, urticaria (hives) and diffuse hair thinning.Rarely, it may cause blisters (bullous LE).SLE may also affect joints, kidneys, lungs, heart, liver, brain, blood vessels (vasculitis) and blood cells. It may be accompanied by antiphospholipid syndrome.